Sudeck's atrophy is associated with -a) Osteoporosisb) Osteophyte formationc) Osteopeniad) Osteochondritis
1. a
2. ac
3. ad
4. b

Correct answer: 2. ac

Explanation: Initial stages of RSD shows spotty osteoporosis (osteopenia).
While in later stages there is characteristic diffuse homogenous osteoporosis (osteopenia).